Unilateral conductive hearing loss in a patient with history of head injury. On examination, tympanic membrane is normal and mobile. The cause for deafness could be
1. Collection of fluid in the middle ear
2. Otosclerosis
3. Dislocation of the incudostapedial joint
4. ASOM

Correct answer: 3. Dislocation of the incudostapedial joint

Explanation: Acquired causes of conductive hearing loss include: Perforation of tympanic membrane Fluid in the middle ear-acute otitis media, serous otitis media, hemotympanum Mass in the middle ear (benign/malignant) Disruption of ossicles-trauma to ossicular chain, CSOM, cholesteatoma Fixation of ossicles-otosclerosis, tympanosclerosis Eustachian tube blockage